Under the integrated Child Development Scheme, which among the following services are provided?
1. Immunization \/ Supplementary nutrition \/ Primary school education
2. Primary school education \/ Health check up
3. Immunization \/ Supplementary nutrition \/ Health check up
4. Immunization \/ Supplementary nutrition \/ Primary school education \/ Health check up

Correct answer: 3. Immunization \/ Supplementary nutrition \/ Health check up

Explanation: The ICDS seeks to lay a solid foundation for the devolopment of nation's human resource by providing an integrated package of early childhood services. These consist of : Immunization Supplementary nutrition Health check ups Medical refferal services Nutrition and health education for women Non-formal education of children upto age of 6 years,and pregnant and nursing mothers in rural,urban ,slums and tribal areas Parks textbook of preventive and social medicine.K Park. Edition 23.Pg no: 591